Heamatocolpos is seen in:
1. Septate uterus
2. Bicornuate uterus
3. Unicornuate uterus
4. Imperforate hymen

Correct answer: 4. Imperforate hymen

Explanation: Ans. D: Imperforate Hymen Hematocolpos is a medical condition in which the vagina fills with menstrual blood. It is often caused by the combination of menstruation with an imperforate hymen. A related disorder is Hematometria, where the uterus fills with (menstrual) blood. This can be caused by a congenital stenosis of the cervix, or by a complication of a surgical treatment,